Large for date baby is a baby whose birth weight is:
1. >90th percentile for the gestational age
2. >50th percentile for gestational age
3. >3 kg
4. >3.5 kg

Correct answer: 1. >90th percentile for the gestational age

Explanation: Large for date baby is a neonate, whose birth weight is >90th percentile of expected, for the gestational age.